Which of the following includes inflammatory bowel disease in children -
1. Coeliac disease
2. Tropical sprue
3. Regional ileitis
4. Cystic fibrosis

Correct answer: 3. Regional ileitis

Explanation: Ans. is 'c' i.e., Regional ileitis Inflammatory bowel disease o Inflammatory bowel disease (IBD) is used to represent two distinct disorders of idiopathic intestinal inflammation : i) Crohn disease or regional ileitis ii) Ulcerative colitis